Councilman body is seen in:
1. Molluscum contagiosum
2. Rabies
3. Granuloma inguinale
4. Viral hepatitis

Correct answer: 4. Viral hepatitis

Explanation: Ans. d. Viral hepatitis